Lancefield group of streptococci belongs to:
1. M-protein
2. Carbohydrate (C) antigen on cell- wall
3. Bile solubility
4. Sugar fermentation

Correct answer: 2. Carbohydrate (C) antigen on cell- wall

Explanation: Carbohydrate (C) antigen on cell- wall (Ref: Ananthnarayan-6thEd/Pg 188) "Hemolytic streptococci were classified by Lancefield serologically into groups based on the nature of Carbohydrate antigen on the cell wall." There are 20 groups, A to V, identified (without I & J). * The great majority of hemolytic streptococci that produce human infections belong to group A * Hemolytic streptococci of group A are called as Streptococcus. Pyogen